Rose-waaler test is
1. Precipitation test
2. Passive agglutination test
3. Neutralisation test
4. Complement fixation test

Correct answer: 2. Passive agglutination test

Explanation: It is rapid slide haemagglutination test for detection of rheumatoid factor.